Essential amino acid is:
1. Phenylalanine
2. Proline
3. Glutamine
4. Serine

Correct answer: 1. Phenylalanine

Explanation: Phenylalanine It is an alpha-amino acid. This essential amino acid is classified as nonpolar because of the hydrophobic nature of the benzyl side chain. L-Phenylalanine (LPA) is an electrically neutral amino acid The codons for L-phenylalanine are UUU and UUC. Phenylalanine is a precursor for tyrosine, the monoamine signaling molecules dopamine, norepinephrine (noradrenaline), and epinephrine (adrenaline), and the skin pigment melanin.